Pulmonary hypertension may occur in all of the following conditions, EXCEPT:
1. Toxic oil syndrome
2. Progressive systemic sclerosis
3. Sickle cell anaemia
4. Argemone mexicana poisoning

Correct answer: 4. Argemone mexicana poisoning

Explanation: Argemone mexicana poisoning results from use of edible oils adulterated with argemone mexicana seed oil the clinical condition is known as epidemic dropsy. Sanguinarine and dihydrosanguinarine are two major toxic alkaloids of argemone oil, which cause widespread capillary dilatation, proliferation and increased capillary permeability. When mustard oil is adulterated deliberately (as in most cases) or accidentally with argemone oil, proteinuria (specifically loss of albumin) occurs, with a resultant edema. Pulmonary hypertension is not described in argemone mexicana poisoning. All other conditions are well known to produce pulmonary hypertension.